The ideal material used for femoropopliteal shunt is:
1. PTFE
2. Dacron
3. Reverse saphenous vein
4. Polypropylene

Correct answer: 3. Reverse saphenous vein

Explanation: Vascular Graft Bioprosthetic Synthetic Autograft Homograft (allograft) Heterograft (Xenograft) Tissue engineered Textile: - DacronQ Non-textile: - ePTFEQ - Polyurethane Best Natural vascular graft: Reversed saphenous veinQ Best synthetic vascular graft: DacronQ Best vascular graft for suprainguinal bypass: Dacron Best vascular graft for infrainguinal bypass: Saphenous veinQ Best vascular graft for aorta: DacronQ Most preferred graft for CABG: LIMA (left internal mammary artery) > Saphenous veinQ MC used graft for CABG: Saphenous veinQ